False regarding Neonatal herpes simplex infection is:
1. Cesarean section is mandatory if there is history of prior maternal genital infection
2. Affected infant should be isolated
3. Affected neonate should receive acyclovir
4. Steroids may exacerbate HSV infection

Correct answer: 1. Cesarean section is mandatory if there is history of prior maternal genital infection

Explanation: Neonatal herpes simplex infection It is recommended that infants be delivered by cesarean section if genital lesions are present at the start of labour. If there is a history of prior maternal genital infection, but if there are no lesions when labour commences then vaginal delivery is appropriate. Antenatal cervical screening cultures taken prior to labour fail to predict active excretion of the virus at delivery.